Glucose mediated insulin release is mediated through:
1. ATP dependent K-t channels
2. cAMP
3. Carrier modulators
4. Receptor phosphorylation

Correct answer: 1. ATP dependent K-t channels

Explanation: A i.e. ATP dependent K+ channels